When an intervention is applied to community to evaluate its usefulness, it is termed as a trial for -
1. Efficacy
2. Effectiveness
3. Efficiency
4. Effect modification

Correct answer: 2. Effectiveness

Explanation: EVALUATION OF HEALTH SERVICES:

Efficacy: Is the effect or usefulness of an agent/ drug/ vaccine under ideal ‘controlled laboratory’ conditions
Effectiveness: Is the effect or usefulness of an agent/ drug/ vaccine in real life community situations
Efficiency: Is the measure of relationship between the results achieved and the effort expended in terms of money, resources and time

– Efficiency: Output/ Input
– Evaluation of efficiency:
1. Cost-benefit analysis: Both input as well as output is in monetary terms
2. Cost-effectiveness analysis: Input is in monetary terms whereas output is in terms of ‘no. of lives saved'.